Treatment of systemic or disseminated variant of sporotrichosis is
1. Itraconazole
2. Amphotericin-B
3. Griesofulvin
4. saturated solution of pottasium iodide

Correct answer: 2. Amphotericin-B

Explanation: Sporotrichosis:- Treatment:- : * Lymphocutaneous disease:- itraconazole, terbinafine, saturated solution of potassium iodide (SSKI) * Disseminated infection:- Amphotericin B (AMB). Ref:- Dermatology review by Asra Ali; pg num:-364